While watching her boyfriend split wood, a teenager was struck on the back of her carpels by a sharp- edged flying wedge. Her extensor digitorum tendons were exposed, though not severed, indicating that the surrounding synovial sheath had been opened. What other muscle has its tendon surrounded by the same synovial sheath?
1. Extensor carpi radialis brevis
2. Extensor carpi radialis longus
3. Extensor digiti minimi
4. Extensor indicis

Correct answer: 4. Extensor indicis

Explanation: Extensor Indicis is a deep forearm extensor that extends the index finger only. Its tendon joins the tendon of the extensor digitorum which goes to the second digit, and both tendons insert into the extensor expansion. Since these tendons insert together, it would make sense that they would be contained in a common synovial sheath. All of the other tendons listed have their own synovial sheaths.